Migratory necrolytic erythema is seen in
1. Glucagonoma syndrome
2. Peutz-Jeghers syndrome
3. Sarcoidosis
4. Amyloidosis

Correct answer: 1. Glucagonoma syndrome

Explanation: Glucagonoma syndrome is a rare paraneoplastic phenomenon. Necrolytic migratory erythema is often one of the first presenting symptoms. We report a case of a 55-year-old man with a 2-year history of recalcitrant eruption. Abdominal computer tomography was performed, which revealed a tumor in the tail of the pancreas Ref Harrison 20th edition pg 544